Caseous necrosis is seen in
1. TB
2. Sarcoidosis
3. Cryptococcal infection
4. Gangrene

Correct answer: 1. TB

Explanation: Caseous necrosis is encountered most often in foci of tuberculous infection. Caseous means "cheese-like," referring to the friable yellow-white appearance of the area of necrosis.Unlike with coagulative necrosis, the tissue architecture is completely obliterated and cellular outlines cannot be discerned. The area of caseous necrosis is often enclosed within a distinctive inflammatory border; this appearance is characteristic of a focus of inflammation known as a granuloma.( Robbins Basic Pathology, 9th edition, page 10)